AKT 1 amplification seen in
1. CA bladder
2. CA colon
3. Breast cancer
4. Gastric cancer

Correct answer: 4. Gastric cancer

Explanation: Answer- D. Gastric cancer AKT 1 amplification- Glioblastoma, gliosarcoma, gastric cancer, lung cancer.